Destruction of the enamel knot leads to:
1. Cessation of further tooth development.
2. Dentinogenesis imperfecta.
3. Amelogenesis imperfecta.
4. None.

Correct answer: 1. Cessation of further tooth development.

Explanation: Enamel knot is an important signalling centre for the proliferation and growth of the dental papilla.
Destruction of enamel knot leads to cessation of further tooth development.